All are associated with Wernicke\'s encephalopathy except -
1. Cog wheel rigidity
2. Alteration in mental function
3. VIth nerve palsy
4. Ataxia

Correct answer: 1. Cog wheel rigidity

Explanation: Wernicke's encephalopathy is characterized by a triad of global confusion (alteration in mental function), Ophthalmoplegia (Bilateral 6th nerve palsy) and ataxia.